The principle that in the spinal cord the dorsal roots are sensory and ventral roots are motor is known as:
1. Weber fechner law
2. Bell Magendie Law
3. Sensation law
4. Law of projection

Correct answer: 2. Bell Magendie Law

Explanation: The principle that in the spinal cord the dorsal roots are sensory and ventral roots are motor is known as Bell Magendie law. Ref: Ganong's, Review of medical physiology, 21st Edition, Page 129.